NOT a hypolipidemic drug:
1. Simvastatin
2. Fenofibrate
3. Somatostatin
4. Fluvastatin

Correct answer: 3. Somatostatin

Explanation: Ans. (c) SomatostatinRef. KDT 6th ed. / 235SOMATOSTATIN* Somatostatin inhibits the secretion of GH, TSH and prolactin by pituitary, insulin and glucagon by pancreas and most importantly. It inhibits most of G.I secretions gastrin and HC1.* It can be used in controlling esophageal varices and bleeding peptic ulcer.* Drugs like simvastatin, atorvastatin, fluvastatin, lovastatin and rosuvastatin are statins, which are hypolipidemic drugs. They act by inhibiting HMG-CoA Reductase.* Fenofibrate are from fibrates category, which has maximum triglyceride lowering activity.Also know* Statins end with "vastatin"* Maximum LDL lowering activity is by: STATINS* Longest acting statin: ROSUVASTATIN